Time dependent killing is shown by -
1. Aminoglycosides
2. Fluoroquinolones
3. Linezolid
4. All of the above

Correct answer: 3. Linezolid

Explanation: Ans. is 'c' i.e., Linezolid o Some, antimicrobial drugs have time dependent effect while others have concentration dependent effects :1. Time dependent effect# Action depends on length of time concentration remains above MIC, e.g. for macrolides fi-lactam. clindamycin, linezolid, tetracycline, and streptogramin.2. Concentration dependent effect# Action is dependent on peak concentration of drug, e.g. for aminoglyco-sides, quinolones, daptomycin, and metronidazole.o Post-antibiotic effect (PAE) is persistent suppression of microbial growth that occurs after levels of antibiotic have fallen below MIC. It is seen in aminoglycosides, fluoroquinolones, daptomycin, metronidazole, macrolides, tetracycline, clindamycin, linezolid and streptogramins.Time dependent killingNo post-antibiotic effectAll (3-lactams, vancomycinTime dependent killing with prolonged post-antibiotic effectAzithromycin, clindamycin, Linezolid, Macrolides, tetracyclines, streptogramin, tigecyclin, telithromycinConcentration dependent killing with prolonged post-antibiotic effectAminoglycosides, fluoroquinolones, daptomycin, metronidazole.